A 5-year-old previously healthy child is taken from his day care to the pediatrician because his mother is concerned that the child has been fussy for the past few days and now has a rash on his face and torso . The mother also says the boy told her his head hurt, and she thinks he may have a low-grade fever. On examination the child is afebrile and not ill-appearing. He has a rash extending over his entire body except for the palms and soles. The infectious agent causing this disease can lead to what complication in immunocompromised hosts?
1. Aplastic anemia
2. Endemic Burkitt's lymphoma
3. Orchitis
4. Progressive multifocal leukoencephalopathy

Correct answer: 1. Aplastic anemia

Explanation: This child has Erythema infectiosum or fifth disease, caused by the B19 parvovirus. Immunocompromised children/Hererditary hemolytic anemias it has linked to aplastic anemia It replicates in erythroid progenitor cells. In pregnancy- associated with fetal loss ( Non immune Hydrops Fetalis- Buddha baby). Arthralgia /arthritis are uncommon among children but frequent among adults. Endemic Burkitt's lymphoma often involves the jaw. EBV has been associated with this disease Orchitis -complication of mumps virus or coxsackie B virus infection. PML is a progressive disease leading to demyelination of CNS neurons as the oligodendroglial cells are destroyed-caused by JC virus